Red line in pure tone audiometry is for -
1. Bone conduction
2. Air conduction
3. Right ear
4. Left ear

Correct answer: 3. Right ear

Explanation: Ans. is 'c' i.e., Right ear